Carina is situated at which level -
1. T3
2. T4
3. T6
4. T9

Correct answer: 2. T4